In pneumococcal meningitis empirical treatment given is
1. Pencillin G
2. Doxycycline
3. Tetracycline
4. Vancomycin + ceftriaxone

Correct answer: 4. Vancomycin + ceftriaxone

Explanation: Currently, dual therapy using high dose vancomycin (60 mg/kg/day) and either a third-generation cephalosporin (cefotaxime or ceftriaxone) or rifampin has been proposed as the optimal empirical treatment for suspected pneumococcal meningitis until antibiotic susceptibilities are known Ref Harrison20th edition pg 2345